Rheumatoid factor in rheumatoid arthritis is important because -
1. RA factor is associated with bad prognosis
2. Absent RA fact6r rules out the diagnosis of Rheumatoid arthritis
3. It is very common in childhood Rheumatoid arthritis
4. It correlates with disease activity

Correct answer: 1. RA factor is associated with bad prognosis

Explanation: "The chief value of the rheumatoid factor tests is in the assessment of prognosis : persistently high titers herold more serious disease including extra-articular features". — Apley